Patient treated previously by irradiation to neckdevelops a single solitary nodule-
1. Papillary ca thyroid
2. Follicular CA thyroid
3. Medullary CA
4. Hurthle cell CA

Correct answer: 1. Papillary ca thyroid

Explanation: Ans. is 'a' i.e., Papillary CA thyroid